Esophageal manometry is useful all this conditions EXCEPT:
1. Achalasia
2. Diffuse esophageal spasm
3. To assess the peristaltic integrity prior to the surgery for GERD
4. Malignancy

Correct answer: 4. Malignancy

Explanation: Esophageal manometry, or motility testing, entails positioning a pressure sensing catheter within the esophagus. Manometry is used to diagnose 1. Motility disorders (achalasia, diffuse esophageal spasm) 2.To assess peristaltic integrity prior to the surgery for reflux disease. Esophageal malignancy is not diagnosed with esophageal manometry. Upper GI endoscopy is the effective method for malignancy and biopsy can be taken. Ref: Harrison, Edition-18,Page-2430